Which of the following is not a source of Indoor air pollution?
1. Carbon monoxide
2. Nitrogen dioxide
3. Radon
4. Mercury vapour

Correct answer: 4. Mercury vapour

Explanation: Sources of Indoor air pollution: Indoor air pollutants Sources Respirable particles Tobacco, smoke, stove, aerosols Carbon monoxide Combustion equipments, stove, gas, heaters Nitrogen dioxide Gas cookers, cigarettes Sulphur dioxide Coal combustion Carbon dioxide Combustion, respiration Formaldehyde Particle board, carpet adhesives, insulation Organic vapours (benzene, toulidine) Solvents, adhesives, resins, aerosols Ozone Electric aecing, UV light Radon Building materials Asbestos Insulation, fire-proofing Mineral fibers Appliances